A normotensive patient with normal hemoglobin suffered massive blood loss. The following findings would be present in him except -
1. Increased PCV
2. Increased MCV
3. Thrombocytosis
4. Reticulocytosis

Correct answer: 1. Increased PCV